All of the following are zoonosis, except:
1. Plague
2. Japanese Encephalitis (JE)
3. HIV
4. Tuberculosis (TB)

Correct answer: 3. HIV

Explanation: Zoonosis is defined by the Joint FAO/WHO Expert Committee as 'those diseases and infections which are naturally transmitted between vertebrate animals and man'. There are more than 150 diseases and infections having reservoir as animals and is communicable to man. These zoonotic diseases may be caused by viruses, bacteriae, rickettisiae, protozoa, helminths, anthropods, fungi or insects. HIV is not a zoonotic disease while the other three infections are zoonotic diseases. The human immunodeficiency virus has only human as reservoirs. Ref: Park Textbook of Preventive and Social Medicine, 19th Edition, Pages 642, 688